The most common site of obstruction in central retinal artery is:
1. In front of the lamina cribrosa
2. At the lamina cribrosa
3. Behind the lamina cribrosa
4. The point where the artery enters the optic nerve

Correct answer: 2. At the lamina cribrosa

Explanation: Ans. At the lamina cribrosa